Which of the following is derived basal lamina of neural tube-
1. Substantia nigra
2. Edinger westphal nucleus
3. Pontine nuclei
4. Vestibular nucleus

Correct answer: 2. Edinger westphal nucleus

Explanation: Ans. is 'b' i.e., Edinger westphal nucleus* The wall of neural tube at first has a single layer of cells. The cells multiply and form three layers: (i) ependymal, (ii) mantle and (iii) marginal.* Neurons develop in mantle layer.* The mantle layer divides into ventral part (basal lamina or basal plate) and dorsal part (alar lamina or alar plate). This division of mental layer is of considerable functional importance. The basal lamina (basal plate) develops into structures which are motor in function (e.g. motor or efferent nuclei) and the alar lamina (alar plate) into those that are sensory (e.g. sensory or afferent nuclei). From alar laminaFrom basal laminaMIDBRAINColliculiSubstantia nigraRed nucleusMesencephalic nu. of trigeminal n.Oculomotor nu.Edinger westphal nu.Trochlear nu.PONSPontine nucleiVestibular nu.Main sensory nu. of trigeminal n.Nu. of spinal tract of trigeminal n.Nu. of tractus solitariusMotor nu. trigeminal n.Motor nu. of facial n.Nucleus of abducent n.Sup. saliatory nu.Lacrimatory nu.MEDULLAInf. olivary nu.Nu. of spinal tract of trigeminal n.Nu. of tractus solitariesPart of dorsal nu. of vagus n.Part of dorsal nucleus of vagus n.Inf. salivatory nu.Nu. MabiguusHypoglossal nu.* In spinal cord the alar lamina forms the posterior grey column, and the basal lamina forms the ventral grey column. The marginal layer becomes white matter.* Cerebellum is derived from alar lamina of the metencephalon.